Mucosa associated lymphoid tumour is associated with:
1. Candida albicans
2. H. pylori
3. E. coli
4. Cytomegalovirus

Correct answer: 2. H. pylori

Explanation: Ans: b (H. pylori)Ref: Harsh Mohan Textbook of Pathology 6thed. Pg. 378, Robbins, 8th e/Page 786H. pylori has been shown to be associated with MALToma in various studies Lymphoma (GIS)Extranodal lymphomas most commonly occur in GI tract especially stomach In BM/organ transplant patients bowel is also a frequent site.Primary gastric lymphoma constitute about 5% of all gastric malignancy.Most cases are associated with chronic H.pylori infection Eradication of H.pylori with antibiotics induces durable remission.Translocations of gastric MALToma-1( 11; 18), t( 1; 14), t( 14; 18) which activate NFkB - promote beta cell growth & survival In H.pylori related MALToma - Inflammation trigger NF kB activation through MLT/BCL10 pathwayM/E : Lymphoepithelial lesions Monocytoid changes Markers: CD 19 +ve CD 20 +ve CD 43 +ve CD 5-ve CD 10 - ve